All the following are true regarding FASTexcept
1. It is a focused abdominal sonar for trauma
2. It is accurate in detecting <50 ml. of free blood
3. It cannot reliably exclude injury in penetrating trauma
4. It detects free fluid in the abdomen or pericardium

Correct answer: 2. It is accurate in detecting <50 ml. of free blood